All are benign conditions except -
1. Fibroadenoma
2. Cystosarcomaphyllodes
3. Pagets disease of nipple
4. Galactocele

Correct answer: 3. Pagets disease of nipple

Explanation: Ans. is 'c' i.e. Pagets disease of nipple Benign breast disorder classificationCongenita] disordersInverted nippleSupernumerary breasts/nipplesNon-breast disordersTietze's disease (costochondritis)Sebaceous cysts and other skin conditionsInjurylnflammation/infectionANDI (aberations of normal differentiation and involution):Cyclical nodularity and mastalgiaCystsFibroadenomaDuct ectasia/periductal mastitisPhyllodes tumor (CystosarcomaPhyllodes)Pregnancy-relatedGalactocelePuerperal abscess